Which antidepressant is relatively contraindicated in young men secondary to its side effect of priapism?
1. Sertraline
2. Trazodone
3. Imipramine
4. Amitriptyline

Correct answer: 2. Trazodone

Explanation: 5-HT2 AntagonistsTwo antidepressants are thought to act primarily as antagonists at the 5-HT2 receptors: trazodone and nefazodoneThe most common adverse effects associated with the 5-HT2 antagonists are sedation and gastrointestinal disturbances. Sedative effects, particularly with trazodone, can be quite pronounced. Thus, the treatment of insomnia is currently the primary application of trazodone. Sexual effects are uncommon with nefazodone or trazodone treatment as a result of the relatively selective serotonergic effects of these drugs on the 5-HT2 receptor rather than on SE. However, trazodone has rarely been associated with inducing priapism.Priapism (an abnormally prolonged erection) is estimated to happen in 1 in every 10,000 patients treated with trazodone.Ref: Harper's Biochemistry; 12th edition; Page no: 526